Which of the following statements is true regarding vocal cords?
1. Two muscles adduct (close) the vocal cords
2. One muscle abducts (opens) the vocal cords
3. One muscle adjusts the length of the vocal cords
4. One muscle adjusts the tension of the vocal cords

Correct answer: 2. One muscle abducts (opens) the vocal cords

Explanation: (b) One muscle abducts (opens) the vocal cords(Ref. Scott Brown, 8th ed., Vol 3; 889)All muscles of VC are adductorsThe tensors alter the length, hence tension of vocal cords. There are two tensors of VC.